Caudal regression syndrome, a rare anomaly is associated with ----- complicating pregnancy
1. Epilepsy
2. Hypertension
3. Diabetes
4. SLE

Correct answer: 3. Diabetes

Explanation: Caudal regression sequence is a rare malformation frequently associated with maternal diabetes(Ref: William's Obstetrics; 25th edition)